All are true about minimal change G.N. except –
1. Selective proteinuria
2. IgG deposition in mesangium
3. Common in age group 2–9 years
4. Responds to steroid's

Correct answer: 2. IgG deposition in mesangium

Explanation: There is no deposition of immune reactants.